Hernia with highest rate of strangulation:
1. Direct inguinal hernia
2. Indirect inguinal hernia
3. Femoral hernia
4. Incisional hernia

Correct answer: 3. Femoral hernia

Explanation: Ans. (c) Femoral herniaRef.: Bailey & Love 26th ed. Ch. 60 / 960* High risk of strangulation is seen with femoral hernia as it has lacunar ligament (Gimbernat's) medially. This is a strong curved ligament with a sharp unyielding edge which impedes reduction of a femoral hernia.* 50% of cases present as an emergency